Which of the following drugs can result in cyanide poisoning ?
1. Sodium Nitroprusside
2. Amyl nitrite
3. Hydroxycobalamin
4. Sodium thiosulphate

Correct answer: 1. Sodium Nitroprusside